Multiple Perforation and Pale granulation of Tympanic membrane is seen in
1. TB Otitis media
2. Syphilis Otitis media
3. Pseudomonas aerugenosa otitis media
4. Herpes Otitis media

Correct answer: 1. TB Otitis media